Systemic toxicity is more with
1. Spinal anaesthesia
2. Epidural anaesthesia
3. Both
4. None

Correct answer: 2. Epidural anaesthesia

Explanation: More systemic toxicity is seen with epidural anaesthesia .